The usual location of Glomus jugulare tumour is:
1. Epitympanum
2. Hypotympanum
3. Mastoid cell
4. Promontory

Correct answer: 2. Hypotympanum

Explanation: (b) Hypotympanum(Ref. Cummings, 6th ed., 2738)Glomus jugulare arises from the paraganglionic cells in relation to the jugular bulb which is related to the floor of the middle ear. Therefore from the floor it comes into the hypotympanum.Less commonly Glomus may arise from promontory and is called Glomus tympanicum.Since it is locally invasive Glomus may later on reach epitympanum, mastoid and other nearby areas.